Prevention of disease by immunization comes under which category
1. Primordial prevention
2. Primary prevention
3. Secondary prevention
4. Tertiary prevention

Correct answer: 2. Primary prevention

Explanation: Primary prevention aims at preventing the progression of risk factors to disease. It includes health promotion and specific protection. Immunization comes under specific protection. Ref : Park's Textbook of Preventive and Social Medicine; 23rd edition - Pgno. 42